Which of the following is a prodrug?
1. Enalapril
2. Clonidine
3. Salmeterol
4. Acetazolamide

Correct answer: 1. Enalapril

Explanation: ref; KD Tripathi pharmacology 6th edition (page no;24) prodrugs-Few drugs are inactive as such and need conversion in the body to one or more active metabolites. Enalapril is converted to active form Enalaprilat other drugs do not need activation because they are active forms Ref: KD Tripathi 8th ed.